Incremental lines of retzius are seen in
1. Enamel
2. Dentin
3. Cementum
4. Pulp

Correct answer: 1. Enamel